Elevation of jaw is done by all except:
1. Temporalis
2. Masseter
3. Lateral pterygoids
4. Medial pterygoids

Correct answer: 3. Lateral pterygoids

Explanation: Depression of the MandibleDepression of the mandible is brought about by contraction of the digastrics, the geniohyoids, and the mylohyoids; the lateral pterygoids play an important role by pulling the mandible forward.Elevation of the MandibleElevation of the mandible is brought about by contraction of the temporalis, the masseter, and the medial pterygoids. The head of the mandible is pulled backward by the posterior fibers of the temporalis.Protrusion of the MandibleIn protrusion, the lower teeth are drawn forward over the upper teeth, which is brought about by contraction of the lateral pterygoid muscles of both sides, assisted by both medial pterygoids.Refraction of the MandibleThe articular disc and the head of the mandible are pulled backward into the mandibular fossa. Retraction is brought about by contraction of the posterior fibers of the temporalis.Lateral Chewing MovementsThese are accomplished by alternately protruding and retracting the mandible on each side. For this to take place, a certain amount of rotation occurs, and the muscles responsible on both sides work alternately like turning the chin to left side produced by left lateral pterygoid and right medial pterygoid and vice versa.